Which one of the following clinical findings excludes the diagnosis of polymyositis ?
1. Neck muscle involvement
2. Extraocular muscle involvement
3. Dysphagia
4. Abdominal muscle involvement

Correct answer: 2. Extraocular muscle involvement